In a person weighing 100 Kgs, the blood volume would be:
1. 5 L
2. 6 L
3. 8 L
4. 10 L

Correct answer: 3. 8 L

Explanation: Blood volume = 8% of body weight. = 8/100x 100kg = 8L